All are amide local anesthetic except-
1. Cocaine
2. Lignocaine
3. Prilocaine
4. Bupivacaine

Correct answer: 1. Cocaine

Explanation: Cocaine is ester local anesthetic. Local Anesthetic divided into two groups Amino ester - S.A Cociane Procains Chloroprocaine L.A Benzocaine Tetracaine Amino amide I.A Lignocaine Prilocaine Mepivacaine L.A Bupivacaine Ropivacaine Levobupivacaine Dibucaine